Which of the following diuretics can result in metabolic acidosis?
1. Indapamide
2. Furosemide
3. Hydrochlorthiazide
4. Acetazolamide

Correct answer: 4. Acetazolamide

Explanation: - Carbonic anhydrase inhibitors (e.g. acetazolamide) and K+ sparing diuretics cause Metabolic Acidosis. - All other diuretics may result in Metabolic Alkalosis.